What is the finding seen earliest in USG:
1. Yolk sac
2. Fetal heart
3. Chorion
4. Placenta

Correct answer: 1. Yolk sac

Explanation: Among the given options,yolk sac will appear early in the USG.It appears at 5 th weeks of gestation. Fetal node appears at 5 and half weeks of gestation,Fetal heart appears or to be felt at 6 weeeks of gestation. Refer page no 475 of Text book of obstetrics,sheila balakrishnan,2 nd edition.